Dose limiting toxicity of amphotericin B is :
1. Infusion related reaction
2. Renal tubular acidosis
3. Myelosuppression
4. Hypotension

Correct answer: 2. Renal tubular acidosis